Uterine rupture is least common with :
1. LSCS
2. Classical section
3. Inverted T shaped incision
4. T Shaped incision

Correct answer: 1. LSCS

Explanation: Ans. is a i.e. LSCS Estimated incidences of rupture of uterus with different types of incisions in case of cesarean section are: * Classical cesarean section (longitudinal incision in upper segment. i.e. in body of uterus reaching the uterine fundus) -- 4 - 9% * T shaped incision -- 4 - 9% * Low vertical incision -- 1 -7% * Low transverse incision (Lower segment cesarean section) -- 0.2 - 1.5% Also know : In 1/3rd cases rupture of classical cesarean section scar occurs before labour. (Spontaneous rupture during pregnancy).